What would be the type of presentation when the engaging diameter is mentovertical?
1. Face
2. Brow
3. Vertex
4. Breech

Correct answer: 2. Brow

Explanation: In brow presentation, the engaging diameter is mentovertical (14cm). Brow is the rarest variety of cephalic presentation where the presenting part is the brow and the attitude of the of the head is short of that degree of extension necessary to produce face presentation. In face presentation, the presenting part is face, attitude of the fetus shows complete flexion of the limbs with extension of the spine. The commonest position is left mento anterior. The engaging diameter of the head is submento bregmatic 9.5cm in fully extended head or submento vertical 11.5cm in partially extended head. HCG rises progressively from conception. Levels double on the average, every 30.9 hours until values reach 6500 mIU/ml (6,500 IU/L) at approximately the eighth week after the last menstrual period (LMP). After that the rate of rise becomes individualized, peaking between the 60th and 70th day (9 to 10 weeks) LMP. Ref: Dutta book of obstetrics 8th Ed.